Disulfiram like reaction is seen with:
1. Metronidazole
2. Benzodiazepine
3. Fluoxetine
4. Acamprosate

Correct answer: 1. Metronidazole

Explanation: Ans: a (Metronidazole)Ref: Goodman and Gilman's Manual of Pharmacology and TherapeuticsDisulfiram inhibits the enzyme aldehyde dehydrogenase probably after conversion into active metabolites.When alcohol is ingested after taking disulfiram, the concentration of acetaldehyde in tissues and blood rises and number of distressing symptoms like flushing, burning sensation, throbbing headache, perspiration, chest tightness, vomiting and mental confusion are produced which is called disulfiram reaction or aldehyde syndrome.Metronidazole has a well-documented disulfiram-like effect, and some patients will experience abdominal distress, vomiting, flushing, or headache if they drink alcoholic beverages during or within 3 days of therapy with this drug. Patients should be cautioned to avoid consuming alcohol during metronidazole treatment even though the risk of a severe reaction is low.Acamprosate, is a known drug used for treating alcohol dependence. Similar responses to alcohol ingestion are produced by various congeners of Disulfiram, namely, cyanamide, the fungus Coprinus atramentarius, the hypoglycemic sulfonylureas, certain cephalosporins, and animal charcoal.